Mechanism of action of tranexamic acid in controlling bleeding is?
1. Inhibits plasminogen
2. Promote platelet aggregation
3. Cause vasoconstriction
4. Promote fibrin synthesis

Correct answer: 1. Inhibits plasminogen

Explanation: Ans. (a) Inhibits plasminogenRef Lippincott's Pharmacology 4/e, p 265